MCHC is normal in all of the following conditions except:
1. Iron deﬁciency anaemia
2. Megaloblastic anaemia
3. Hemolytic anaemia
4. Aplastic anaemia

Correct answer: 1. Iron deﬁciency anaemia

Explanation: MCHC is the most important absolute value in the diagnosis of anaemia.